Sternum attached to scapula
1. Manubrium
2. Clavicle
3. First rib
4. Second rib

Correct answer: 2. Clavicle

Explanation: By forming sternoclavicular joint & Acromioclavicular joint, clavicle connects sternum (Axial skeleton) to scapula (Appendicular skeleton). Clavicle transmits the weight / force of appendicular skeleton to axial skeleton. acromioclavicular ligament is important in this. That's why clavicle is most commonly fractured bone in body -Sternum contains - Manubrium - Body - Xiphoid process * Manubrium of sternum: angled posteriorly on body of sternum at manubriosternal joint, forms sternal angle which is major surface landmark used by clinicians in physical examination. * RIBS: All ribs articulate with thoracic vertebrae posteriorly, most ribs (II to IX) have 3 articulations with vertebral column. anteriorly, costal cartilages of ribs I to VII articulate with sternum, VIII to X articulate with inferior margins of costal cartilage above them, XI & XII floating ribs - because they do not articulate with ribs, costal cartilage or sternum